. Risk factor for Ca Cervix:a) HPVb) Smokingc) Late Menarched) Nulliparitye) Early sexual intercourse
1. abe
2. bcd
3. cde
4. acd

Correct answer: 1. abe